Hypersplenism is associated with-
1. Pancytopenia
2. Thrombocytopenia
3. Leukopenia
4. Polycythemia

Correct answer: 1. Pancytopenia